The active ingredient present in Tartar control tooth paste is:
1. Pyrophosphate
2. Metaphosphate
3. Carboxy methyl
4. Bi-carbonate

Correct answer: 1. Pyrophosphate